Which does not causes megaloblastic anemia -
1. Phenytoin
2. >Chloroquine
3. >Sulfasalazine
4. >Alcohol

Correct answer: 2. >Chloroquine

Explanation: Chloroquine Dietary causes of folate deficiency Old age Infancy Poverty AlcoholismQ Chronic invalids Psychiatric disturbed